Not a histological marker for choriocarcinoma:
1. Vill
2. Cytotrophoblast
3. Syncytiotrophoblast
4. Bizarre nuclei

Correct answer: 1. Vill

Explanation: Vill